Which medicine claims to be the world's first organized body of medical knowledge?
1. Indian
2. Chinese
3. Egyptian
4. Mesopotamian

Correct answer: 2. Chinese

Explanation: Chinese medicine claims to be the world's first organized body of medical knowledge, dating back to 2700BC, based on 2 principles: yang and yin.